Which of the following medications would be prescribed most frequently to patients suffering from chronic atrial fibrillation ?
1. Lidocaine
2. Bretylium
3. Warfarin
4. Adenosine

Correct answer: 3. Warfarin